Hurt is defined under section ?
1. 320 IPC
2. 321 IPC
3. 319 IPC
4. 323 IPC

Correct answer: 3. 319 IPC

Explanation: Ans. is `c' i.e., 319 IPC 319 IPC : Defines hurt. 320 IPC : Defines grievous hurt. 321 IPC : Voluntarily causing hurt. 322 IPC : Voluntarily causing grievous hurt. 323 IPC : Punishment for voluntarily causing hurt (no provocation, no dangerous weapon) (1 years imprisonment). 324 IPC : Punishment for voluntarily causing hurt by dangerous weapon (3 years imprisonment +- fine). 325 IPC : Punishment for voluntarily causing grievous hurt (no provocation, no dangerous weapon) (7 years imprisonment +- fine).